Which of the following are signs of good attachment:
1. Baby's chin close to the breast
2. Baby's mouth is wide open
3. Baby is sucking around the areolar circumference
4. All of the above

Correct answer: 4. All of the above

Explanation: Ans. D. All of the aboveSigns to good attachment include: baby's chin is close to the breast and is sucking around the areolar circumference, baby's mouth is wide open and the lower lip turned outwards, more areola is visible above the baby's mouth than below it. There should be no pain while breastfeeding.